The volume of gas in the lungs at the end of normal expiration is:
1. Expiratory reserve volume
2. Functional residual capacity
3. Residual volume
4. Inspiratory reserve volume

Correct answer: 2. Functional residual capacity

Explanation: The volume of the air remaining in the lungs after normal expiration is Functional Residual Volume (FRV).
The volume of the air remaining in the Lungs after forced expiration is Residual Volume (RV).